Consider the following - 1. Kerosene poisoning 2. Organo-phosphorus poisoning 3. Corrosive poisoning 4. Iron poisoning In which of the above is gastric lavage contraindicated?
1. 1 only
2. 1 and 3 only
3. 2 and 4 only
4. l,2, 3and 4

Correct answer: 2. 1 and 3 only

Explanation: Gastric lavage iscontraindicated in corrosive poisoning(strong acids and alkalis) or if petroleum distillates ( kerosene) have been ingested. Reference: Harrison20th edition pg 789